Surgical ciliated cyst is often associated with surgeries of the
1. Maxillary impaction
2. Mandibular set back
3. Caldwell Luc procedure
4. mucocele

Correct answer: 3. Caldwell Luc procedure